Which of the following fungus does not infect hair
1. Epidermophyton
2. Microsporum
3. Trichophyton
4. None of the above

Correct answer: 1. Epidermophyton

Explanation: Trichophyton infects hair, skin and nail. Microsporum infects hair and skin. Epidermophyton infects skin and nail. Reference: Textbook of Microbiology; Baveja; 4th edition